Most common type of Thyroid carcinoma is
1. Papillary
2. Follicular
3. Medullary
4. Anaplastic

Correct answer: 1. Papillary

Explanation: Papillary Histology type Incidence Papillary 80%, Follicular 10%, Medullary 5%, Anaplastic 1% * Papillary carcinoma thyroid (Frequently asked facts) a. Commonest carcinoma of thyroid gland (80%) b. Commonest carcinoma in iodine sufficient area. c. More common in patients with previous exposure to radiation (past childhood) d. Commonest age 30-40 year. e. Multifocal (more common) f. Lymph node metastases more common (i.e., lymphatic spread) g. Distant metastasis uncommon commonest site - lung followed by bone, liver, brain. h. Prognosis excellent - 10 years survival (95%)